Structure NOT passing through Aortic opening of diaphragm
1. Azygos vein
2. Aorta
3. Thoracic duct
4. Vagus

Correct answer: 4. Vagus

Explanation: (D) VagusVena Cava (8 letters) - Passes through the diaphragm at T8.Oesophagus (10 letters) - Passes through the diaphragm at T10.Aortic Hiatus (12 letters) - Passes through the diaphragm at T12.OPENINGS THROUGH THE DIAPHRAGM & THEIR CONTENTSDescriptionVertebral levelContentsCava! opening lies in central tendon of DiaphragmT8 (to the right side of the median plane)Caval opening passes through the central tendon of the diaphragm. Contains Inferior vena cava, & some branches of the Right Phrenic nerve.Esophageal hiatuslies in Masseter part of diaphragmT10 (to the of the median plane)Esophageal hiatus is situated in the posterior part of the diaphragm, located slightly left of the central tendon through the muscular sling of the right crus of the diaphragm.Oesophagus & anterior & posterior Vagal trunks.Lymphatics from the lower third of the esophagusAortic hiatus OsseoaponeuroticT12 (in the median plane)Aortic hiatus is in the posterior part of the diaphragm, between the left & right crus.Aorta, Azygos vein & Thoracic duct.Two lesser apertures of right crusGreater & Lesser Right splanchnic nervesTwo lesser apertures of left crusGreater & Lesser Left Splanchnic nerves & Hemiazygos veinBehind the diaphragm, under the medial lumbocostal archSympathetic trunkAreolar tissue between the sternal & costal parts (Foramina of Morgagni)Superior epigastric branch of the internal thoracic artery & some lymphatics from the abdominal wall & convex surface of the liverAreolar tissue between the fibers springing from the medial & lateral lumbocostal archesThis interval is less constant; when this interval exists, the upper & back part of the kidney is separated from the pleura by areolar tissue only.OTHER STRUCTURES PASSING THROUGH DIAPHRAGMSplanchnic nerves - which pierce the cruraInferior hemiazygos - Vein which pierce the left crus.Psoas major Muscle.Sympathetic trunk (pass deep to the medial arcuate ligament).Quadratus lumborum.Subcostal Nerve, Vessels (pass deep to the lateral arcuate ligamentClinical Importance:Lumbocostal triangle or Bochdalek's foramen, Diaphragmatic hernia, Diaphragmatic paralysis, Congenital eventration of diaphragm, Hiccup.Aortic opening (Aortic hiatus) is one the three major apertures through the diaphragm & lies at the level of T12.A number of structures pass through the aortic hiatus: aorta, azygos vein, thoracic duct, greater splanchnic nerve.